Regarding Allergic Bronchopulmonary aspergillosis all are true expect
1. Peripheral blood eosinophilia
2. Elevated IgE
3. Peripheral Bronchiectasis
4. Type I hypersensitivity reaction

Correct answer: 3. Peripheral Bronchiectasis

Explanation: ABPA is characterized by central bronchiectasis.